Which of the following nerve fibres is unmyelinated?
1. A-alpha
2. A-beta
3. A-delta
4. C fiber

Correct answer: 4. C fiber

Explanation: Ans. D. C fiberTypes of mammalian nerve fibres: -Fiber TypeFunctionMyelinationFiber Diameter(um)Conduction Velocity (m/s)Spike Duration (ms)Absolute Refractory Period (ms)AaProprioception; somatic motorMyelinated12-2070-120 AbTouch, pressureMyelinated5-1230-700.4-0.50.4-1AgMotor to muscle spindlesMyelinated3-615-30 AdPain, temperatureMyelinated2-512-30 BPreganglionic autonomicMyelinated< 33-151.21.2C, Dorsal rootPain, temperatureUnmyelinated0.4-1.20.5-222C,SympatheticPostganglionic sympatheticUnmyelinated0.3-1.30.7-2.322